Modes of death are all except
1. Syncope
2. Coma
3. Asphyxia
4. Shock/molecular death

Correct answer: 4. Shock/molecular death

Explanation: Ans. d (Shock/molecular death). (Ref. Parikh, FMT, 5th ed., Chapter on thanatology) # Thanatology is science which deals with death. - Somatic death is due to complete and irreversible cessation of vital functions of brain, heart and lungs. - When individual tissues and cells die, which generally complete 3-^ weeks of somatic death, it is termed cellular or molecular death. # According to Bichat, there are 3 modes of death depending on the system most obviously affected, irrespective of what is the cause of death--coma, syncope and asphyxia.